A 40 year old woman presents with abnormal cervical cytology on PAP smear suggestive of CIN III (HSIL). The next best step in management is:
1. Hysterectomy
2. Colposcopy and LEEP
3. Colposcopy and Cryotherapy
4. Conization

Correct answer: 2. Colposcopy and LEEP

Explanation: According to FIGO classification, cervical intraepithelial neoplasia 3 (CIN 3) belong to stage 0. Loop electrocautery excision procedure done under colposcopic visualization is the mode of treatment for CIN II and CIN III lesions. Ref: Novak's, 14th Edition, Page 582, 583; William's Gynoecology, 1st Edition, Page 635; COGDT, 10th Edition, Pages 841, 837; Dewhurst's, 6th Edition, Pages 575, 574.